Potts shunt is:
1. Rt subclan aery to it pulmonary aery
2. Descending aoa to left pulmonary aery
3. Left subclan to left pulmonary aery
4. Ascending aoa to right pulmonary aery

Correct answer: 2. Descending aoa to left pulmonary aery

Explanation: In POTT'S shunt: The descending aoa is anastomosed to pulmonary aery. Operative treatment of TOF consist of two types: Palliative and Definitive. Palliative treatment consist of anastomosing systemic aery and pulmonary aery to increase the pulmonary blood flow and thus increase amount of oxygenated blood reaching systemic circulation. Ref: Kliegman, Behrman, Jenson, Stanton (2008), Chapter 430.1, "Tetralogy of Fallot", In the book, "NELSON TEXTBOOK OF PEDIATRICS", Volume 2, 18th Edition, New Delhi, Pages 1908-10 ; O P Ghai Essential Pediatrics, 6th Edition, Page 409